MHC gene is located in:
1. Chromosome 12
2. Chromosome 6
3. Chromosome 7
4. Chromosome 8

Correct answer: 2. Chromosome 6

Explanation: Major Histocompatibility Complex (MHC) Molecules: The peptide display system of adaptive immunity, In humans the MHC molecules are called human leukocyte antigens (HLA) because they were initially detected on leukocytes by the binding of antibodies. The genes encoding HLA molecules are clustered on a small segment of chromosome 6. Class I MHC molecules display peptides that are derived from proteins, such as viral and tumor antigens, that are located in the cytoplasm and usually produced in the cell, and class I-associated peptides are recognized by CD8+ T lymphocytes. Class II MHC molecules present antigens that are internalized into vesicles, and are typically derived from extracellular microbes and soluble proteins.